Commonest cause of Cerebral Infarction is:
1. Arterial thrombosis
2. Arteritis
3. Venous thrombosis
4. Lymphangitis

Correct answer: 1. Arterial thrombosis

Explanation: Arterial thrombosis